Which of the following grading methods is used to evaluate the prognosis/outcome after subarachnoid hemorrhage?
1. Glasgow Coma Scale
2. Hess and Hunt Scale
3. Glasgow - Blatchford Bleeding score
4. Intracerebral Hemorrhage score

Correct answer: 2. Hess and Hunt Scale

Explanation: Hess and Hunt scale was developed for the assesment of neurological severity in patients with sub arachnoid hemorrhage. It is grade from score 0 to 5. Higher the score means poor outcome. Ref: Monitoring in Anesthesia and Perioperative care By David L. Reich, 1st Edition, Page 353